Wide pulse pressure may be seen in all except -
1. Aortic regurgitation
2. PDA
3. Complete Heart block
4. Congestive Heart failure

Correct answer: 4. Congestive Heart failure

Explanation: Aortic regurgitation,PDA,Complete heart block are 3 conditions which have wide pulse pressure Causes Isolated Systolic Hypertension Aortic Regurgitation Thyrotoxicosis Patent Ductus Arteriosus Arteriovenous fistula Beriberi heart Aortic Coarctation Anemia Emotional state in Congestive heart failure,pulse pressure will be low due to reduced stroke volume Ref Harrison 20th edition pg 1445